While recording condylar guidance using three pin articulator, the incisal pin is kept?
1. Out of contact
2. In contact with incisal table
3. Removed from articulator
4. Not significant

Correct answer: 1. Out of contact